True about umbilical cord
1. Contains 2 umbilcal veins
2. Contains 1 umbilical artery
3. Right umbilical vein disappear
4. Length is 25 - 30 cms

Correct answer: 3. Right umbilical vein disappear

Explanation: Right umbilical vein regresses and left umbilical vein is left, umbilical cord has two umbilical arteries and the left umbilical vein. An average umbilical cord is 55cm long with a diameter of 1-2 cm and 11helices Ref: Gray's 39e/p-210-220